Premature exfoliation of deciduous teeth is seen in
1. Hypophosphatasia
2. Hypophosphaterria
3. Hyper phosphtasia
4. Hyperparathryroidism

Correct answer: 1. Hypophosphatasia